A 15 year old boy presented with one day history of bleedig gums, subconjunctival bleed and purpuric rash. Investigations revealed the following results: Hb-6.4 gm/dL; TLC-26,500/mm3, platelet-35,000 mm3. Prothrombin time-20 sec with a control of 13 sec, partial thromboplastin time-50 sec and fibrinogen l0mg/dL. Peripheral smear was suggestive of acute myeloblasts leukemia. Which of the following is most likely?
1. Myeloblasts leukemia without maturation
2. Myeloblasts leukemia with maturation
3. Promyelocytic leukemia
4. Myelomonocytic leukemia

Correct answer: 3. Promyelocytic leukemia

Explanation: . Promyelocytic leukemia